Fibrinogen is present in which of the following granules of platelet?
1. a
2. b
3. g
4. d

Correct answer: 1. a

Explanation: Platelets play a critical role in normal hemostasis. Their function depends on several glycoprotein receptors, a contractile cytoskeleton, and two types of cytoplasmic granules. a-Granules have the adhesion molecule P-selectin on their membranes and contain fibrinogen, fibronectin, factors V and VIII, platelet factor 4 (a heparin-binding chemokine), platelet-derived growth factor (PDGF), and transforming growth factor-b (TGF-b). Dense (or d) granules contain ADP and ATP, ionized calcium, histamine, serotonin, and epinephrine. Ref: Robbins 8th edition Chapter 4.